Appendix of testis is remnant of ?
1. Mesonephric duct
2. Mesonephric tubules
3. Wolffian duct
4. Mullerian duct

Correct answer: 4. Mullerian duct

Explanation: Mullerian duct